Retinal nervefibres most sensitive to glaucomatous damage are:
1. Superior and inferior arcuate fibres
2. Macular fibres
3. Superior radiating fibres
4. Inferior radiating fibres

Correct answer: 1. Superior and inferior arcuate fibres

Explanation: Ans. Superior and inferior arcuate fibres